The Hb level in healthy women has mean 13.5 g/dl and standard deviation 1.5 g/dl, what is the Z score for a women with Hb level 16.5 g/dl
1. 9
2. 10
3. 2
4. 1

Correct answer: 3. 2